Most common pulmonary manifestation in AIDS
1. TB
2. Pneumonia
3. Bronchiectasis
4. Mycobacterial avium intracellular

Correct answer: 2. Pneumonia

Explanation: Ans. is 'b' i.e., Pneumonia Respiratory complications in AIDS Respiratory diseases in AIDS include A) Acute bronchitis and sinusitis They are caused by S. pneumoniae and H influenzae and are very common. B) Pulmonary diseases Pulmonary diseases are :- 1. Pneumonia Most common pulmonary manifestation is pneumonia : Bacterial pneumonia : It is caused most commonly by S pneumoniae and pneumococcal infection is the earliest serious infection in AIDS. H influenzae is also a common cause. P canna pneumonia : It is the most common cause of pneumonia in AIDS. Risk is greater when CD4 count less than 200/ml. 2. Tuberculosis In developing countries like India, most important pathogen is M tuberculosis. Other common pathogen causing TB is MAC (atypical mycobacteria). 3. Other pulmonary diseases These are fungal infections (cryptococcus, histoplasma, aspergillus), neopasms (Kaposi sarcoma, lymphoma) and idiopathic interstitial pneumonia.